Trapezoid body is associated with:
1. Auditory PathwayQ
2. Visual pathway
3. Pyramidal tract
4. Gustatory pathway

Correct answer: 1. Auditory PathwayQ

Explanation: Ans : A (Auditory pathway) Trapezoid body is related to auditory pathwayQAuditory PathwaySuperior olivary nucleusQ -Lateral lemniscusQ -Inferior colliculusQ & Inferior brachium - Medial geniculate bodyQMedial geniculate body is related to auditory pathway1 whereas Lateral geniculate body is related to visual pathway9